Which is the most characteristic finding in Osteomalacia?
1. Abnormal osteoblastic activity
2. Crystalline structure of bone
3. Increased deposition of osteoid with decreased mineralization
4. Increased mineralization with decreased osteoid formation

Correct answer: 3. Increased deposition of osteoid with decreased mineralization

Explanation: Osteomalacia ("soft bone") is a structural abnormality of bone caused by defective mineralization of osteoid, which is produced in normal or increased amounts. Because it is not calcified normally, affected bones are soft. The newly formed osteoid matrix laid down by osteoblasts is inadequately mineralized, thus producing the excess of persistent osteoid characteristic of osteomalacia.Microscopic examination of undecalcified bone shows the presence of uncalcified osteoid, usually in the form of wide seams on the outer aspect of bony trabeculae. This is diagnostic of osteomalacia. Ref: Chandrasoma P., Taylor C.R. (1998). Chapter 67. Diseases of Bones. In P. Chandrasoma, C.R. Taylor (Eds), Concise Pathology, 3e.